Treatment of an Ammonia exposure in eye includes
1. Call an expert ophthalmologist to tackle the situation
2. Anaesthetic +Irrigation of eye with Normal saline
3. Slit microscopy and cleaning
4. Systemic Antibiotics

Correct answer: 2. Anaesthetic +Irrigation of eye with Normal saline

Explanation: (B) Anesthetic +lrrigation of eye with Normal saline # Treatment of Alkali Chemical Injuries of Eye:> Ammonia & sodium hydroxide are particularly harmful, as they cause necrosis of the cornea.> In injury caused by caustics the excess of deleterious material must be removed at the earliest by a copious and immediate irrigation with normal saline.> An intravenous infusion line is useful in directing a steady, controlled flow of saline onto the ocular surface.> All fornices should be washed & irrigation continued till the pH returns to normal or for a minimum of 30 minutes.> No delay in instituting therapy and, if saline is not immediately available, the eye should be copiously irrigated at once with water.> Particles of lime must be perseveringly picked out with forceps after instillation of a local anaesthetic.> Antibiotic ointment or drops and cycloplegics should be instilled.> Corticosteroids are potent agents in reducing the inflammatory reaction and prevent the formation of excessive granulation tis- sue, which determines the development of symblepharon.> Ascorbic acid & tetracyclines are given topically and systemically to enhance collagen formation. To inhibit collagenolysis and stromal damage, 10% sodium citrate, 5% N-acetylcysteine or 1% medroxyprogesterone eye drops are useful adjuncts.> Symblepharon may be prevented by sweeping a glass rod well coated with a lubricant round the upper and lower fornices, so that they are well packed with ointment.> Fitting of a contact lens separates the two mucosal surfaces and prevents their adhesion.> Limbal cell transplant or amniotic membrane graft stimulates Revascularization of the limbus & re-epithelialization of the ocular surface.